Most important in diagnosing Acute Hepatitis B is
1. IgG Anti-HBc
2. Anti HBs
3. IgM Anti-HBc
4. HBsAg

Correct answer: 3. IgM Anti-HBc